The lesion characteristic of secondary syphilis –
1. Ulcer
2. Condyloma acumicata
3. Condyloma lata
4. Gtmima

Correct answer: 3. Condyloma lata